The most common cause of seizures in a patient of AIDS is -
1. Toxoplasmosis
2. Cryptococcal meningitis
3. Progessive multifocal leucoencephalopathy
4. CNS lymphoma

Correct answer: 1. Toxoplasmosis